Most serious type of neonatal conjunctivitis which can cause neonatal blindness -
1. N. gonorrhoeae
2. Chlamydia trachomatis
3. Streptococcus pneumoniae
4. Pseudononas

Correct answer: 1. N. gonorrhoeae

Explanation: "The most dangerous cause of neonatal conjunctivitis is N. gonorrhoeae due to its potential for invading intact corneal epithelium and causing blindnesss" Ref: Clinical ophthalmology 3rd/e p.661